'Heliotrope rash' over face is seen in
1. Systemic sclerosis
2. Dermatomyositis
3. Systemic lupus erythematosus
4. Rheumatoid arthritis

Correct answer: 2. Dermatomyositis

Explanation: Dermatomyositis a. Heliotrope erythema and oedema of the periorbital skin are seen in dermatomyositis, b. Dermatomyositis is a well established cutaneous marker of interval malignancy. c. About 10% of all patients of dermatomyositis have an underlying malignancy. d. The most common malignancies associated with dermatomyositis are Lung, Ovary, breast, GIT and lymphoprol iterative disorders.